Features of hypovolemic shock are all except
1. Bradycardia
2. Oliguria
3. Low BP
4. Acidosis

Correct answer: 1. Bradycardia

Explanation: Hypovolaemic shock is due to a reduced circulating volume. Hypovolaemia may be due to haemorrhagic or non-haemorrhagic causes. Non-haemorrhagic causes include poor fluid intake (dehydration), excessive fluid loss due to vomiting, diarrhoea, urinary loss (e.g. diabetes), evaporation, or 'third-spacing' where fluid is lost into the gastrointestinal tract and interstitial spaces, as for example in bowel obstruction or pancreatitis. Hypovolaemia is probably the most common form of shock, and to some degree is a component of all other forms of shock. Absolute or relative hypovolaemia must be excluded or treated in the management of the shocked state, regardless of cause Ref : Schwartz 9/e p98 , Bailey and love 27/e p14